Which one of the following bone tumors typically affects the epiphysis of a long bone?
1. Osteosarcoma
2. Ewing's sarcoma
3. Chondroblastoma
4. Chondromyxoid fibroma

Correct answer: 3. Chondroblastoma

Explanation: Ans. is 'c' ie chondroblastoma (Ref: Apley's, 8/e, p177).Apley's - "X-Ray shows a rounded, well demarcated radiolucent area in the epiphysis; this site is so unusual that the diagnosis springs readity to mind; However, sometimes the lesion extends across the physeal line".Remember